In radical mastectomy the structures preserved are all except
1. Axilary vein
2. Cephalic vein
3. Nerve to serratus anterior
4. Pectoralis minor

Correct answer: 4. Pectoralis minor

Explanation: In Halsted radical mastectomy structures removed are tumor entire breast ,nipple, areola, skin over other tumor with margin pectoralis major and minor muscles fat ,fascia, lymph nodes of axilla Modified radical mastectomy Patey's operation - it is total mastectomy along the clearance of all levels of axillary nodes and removal of pectoralis minor muscle Scanlon's operation - it is the modified patey's operation where instead of removing pectoralis minor it is incised to approach the affected level 3 lymph nodes Auchincloss modified radical mastectomy - here petrol is minor muscle is left in that time level 3 lymph nodes are not removed